Which one of the following is the best stimulus for the release of the Arginine-vasopressin?
1. Hypertonicity
2. Hypokalemia
3. Intravascular volume depletion
4. Hypernatremia

Correct answer: 1. Hypertonicity

Explanation: (A) Hypertonicity